In hyperkalamia -a)  Serum level >5.5 meq/Lb) Serumlevel> 6.5 meq/Lc) T. wave inversiond) Peaking of T. wavee) Venticular fibrillation
1. acd
2. ade
3. abd
4. ad

Correct answer: 2. ade

Explanation: Electrocardiographic manifestations of hvperkalemia :

ECG changes often do not correlateQ with the degree of hyperkalemia

E.C.G changes suggestive of an effect of hyperkalemia on cardiac conduction include :

Peaked T waves (tall tented T waves)Q
- Prolongation of the PR intervalQ
Widening of the QRSQ
- Loss of the P waveQ
Sine wave patternQ
Sinus arrestQ
In patients with organic heart disease and abnormal baseline ECG, bradycardia may be the only new ECG abnormality.
Hyperkalemia may ultimately lead to cardiac arrest (asystole) or Ventricular fibrillation
Hyper kalemia is defined as serum potassium > 5 meq/L.